GLUT3 is seen in
1. Liver
2. Neurons
3. Pancreas
4. Spleen

Correct answer: 2. Neurons

Explanation: GLUT 3 is a protein channal for facilitated diffusion of glucose it is seen in neurons